All of the following are branches of uterine artery except
1. Spiral artery
2. Radial artery
3. Sampson artery
4. Obturator artery

Correct answer: 4. Obturator artery

Explanation: Ans. is d, i.e. Obturator arteryBranches of uterine artery are:To the uterus:* A = Arcuate artery* R = Radial artery* B = Basal artery* S = Spiral arteryTo the cervix* Descending cervical arteryTo the round ligament* Samson artery